A child is brought to you with history of intellectual disability. On examination you find that he also has dolichocephaly, low set ears, micrognathia, clenched hands with overlapping fingers, simian crease and rocker bottom feet. Which is the commonest cardiac lesion you would expect to find in this patient?
1. ASD
2. VSD
3. PDA
4. Pulmonary stenosis

Correct answer: 2. VSD

Explanation: This is a case of Edward's syndrome (Trisomy 18). The commonest cardiac lesion in this condition is VSD followed by PDA and ASD. Multiple valvular regurgitant lesions may also be seen in Edward's syndrome. Ref: Pediatric Clinical Methods by Meharban Singh, 3rd Edition, Page 176